Which of the following is the best candidate for allogenic bone marrow transplant?
1. 6 year old with thalassemia minor
2. Autoimmune disease
3. Multiple myeloma
4. Hereditary immunodeficiency

Correct answer: 4. Hereditary immunodeficiency

Explanation: Bone marrow transplantation usually involves two types: Allogenic: mainly for Acute leukemic patient Autologous: mainly for Multiple myeloma and Non Hodgkin Lymphoma Graft failure/rejection is a significant complication following hematopoietic cell transplantation (HCT). It may be due to rejection caused by recipient T-cells, NK-cells or antibodies. Bone marrow transplantaion is successful in patient with SCID as they are deficient with immunogenic cell and immunodeficiency, which makes them best candidate for allogenic bone marrow transplant.